True about MG(myasthenia gravis)
1. Defect at myoneural junction
2. (downward arrow) Ach receptor
3. Autoimmune disease
4. All

Correct answer: 4. All

Explanation: In MG the underlying defect is a decrease in number of available ACh receptors at neuromuscular junctions due to an antibody mediated autoimmune attack. Myasthenia gravis is an autoimmune disease which results from antibodies that block or destroy nicotinic acetylcholine receptors at the junction between the nerve and muscle. This prevents nerve impulses from triggering muscle contractions.Rarely, an inherited genetic defect in the neuromuscular junction results in a similar condition known as congenital myasthenia. Babies of mothers with myasthenia may have symptoms during their first few months of life, known as neonatal myasthenia.Diagnosis can be supported by blood tests for specific antibodies, the edrophonium test, or a nerve conduction study Ref Harrison20th edition pg 2390